Superior thyroid artery is related to -
1. Recurrent laryngeal nerve
2. External laryngeal nerve
3. Internal laryngeal nerve
4. Chorda-tympani nerve

Correct answer: 2. External laryngeal nerve

Explanation: Ans. is 'b' i.e., External laryngeal nerve Blood supply of thyroidArteryBranch ofRelated toRemarkSuperior thyroidExternal carotidExternal laryngeal N.During thyroidectomy superior thyroid artery is ligated close to upper pole ofgland to avoid injury to external laryngeal nerve.Inferior thyroidThyrocervical trunkRecurrent laryngeal N.During thyroidectomy inferior thyroid artery is ligated away from the lower pole to avoid injury to recurrent laryngeal nerveLowest thyroid A. (thyroid ima)Brachiocephalic trunk or Aorta Accessory thyroidTracheal & esophageal arteries